The main function of Vitamin C in the body is
1. Coenzyme for energy metabolism
2. Regulation of lipid synthesis
3. Involvement as antioxidant
4. Inhibition of cell growth

Correct answer: 3. Involvement as antioxidant

Explanation: Vitamin C is one of a group of nutrients that includes vitamin E (see p. 391) and b-carotene (see p. 382), which are known as antioxidants. Consumption of diets rich in these compounds is associated with a decreased incidence of some chronic diseases, such as coronary heart disease and certain cancers. However, clinical trials involving supplementation with the isolated antioxidants have failed to determine any convincing beneficial effects.Reference: Lippincott, Edition 5, page no: 378